All of the following feature precipitate sickling of HBS except
1. Dehydration
2. Hypoxia
3. Infections
4. Increased PH

Correct answer: 4. Increased PH

Explanation: Acidosis (↓ pH) precipitate sickling.